Pars intermedia of hypophysis cerebri from?
1. Endoderm
2. Mesoderm
3. Oral ectoderm
4. Neuroectoderm

Correct answer: 3. Oral ectoderm

Explanation: The intermediate parts of pituitary gland develop from an ectodermal diverticulum called RATHKE'S pouchThis grows upwards from the roof of stomatodaeum, just in front of buccopharyngeal membrane.(Ref: human embryology by IB Singh 9th edition,pg-310)